Gas causing green house effect ?
1. CO2
2. Methane
3. Sulfur hexafluoride
4. All of the above

Correct answer: 4. All of the above

Explanation: Ans. is 'd' i.e., All of the above